A 53 year old male, consumes alcohol in heavy dose for a long time, with documented evidence of vitamin B 6 deficiency, presented with pigmented rash of sun-exposed areas, bright red tongue, diarrhea, apathy, memory loss and disorientation. What could be the cause for these features?
1. Niacin deficiency
2. Riboflavin deficiency
3. Folate deficiency
4. Thiamine deficiency

Correct answer: 1. Niacin deficiency

Explanation: The clinical features are suggestive of niacin deficiency. Alcoholism, vitamin B6 deficiency, riboflavin deficiency and tryptophan deficiency are the contributing factors for niacin deficiency. Ref:Harrisons Principles of Internal Medicine, 18th Edition, Page 594